Commonest diameter of fetal head engagement is
1. Submentoveritcal
2. Occipito frontal
3. Suboccipito bregmatic
4. Mentovertical

Correct answer: 3. Suboccipito bregmatic

Explanation: The commonest diameter for fetal head engagement is suboccipitobregmatic, as it leads to vertex presentation for normal vaginal delivery. Fetal skull diameters Measurements Suboccipitobregmatic Biparietal diameter Submentobregmatic 9.5 cm Suboccipitofrontal 10cm Occipitofrontal Submentovertical 11.5 cm Mentovertical 14 cm